Foster Kennedy syndrome is
1. I/L Papilloedema CiL optic atrophy
2. I/L Optic atrophy C/L papilloedema
3. I/L Optic atrophy and papilloedema
4. UL Papilloedema C/L papilitis

Correct answer: 2. I/L Optic atrophy C/L papilloedema

Explanation: Ans. is 'c ib., I/L Optic atrophy C/L papilloedema Foster-Kennedy syndrome : - The frontal lobe, pituitary and middle-ear tumor such as meningiomata of the oflactory groove are sometimes associated with Ipsilateral pressure atrophy of the optic nerve and contralateral papilledema. Pseudo-Foster-kennedy syndrome : - It is characterized by occurence of unilateral papilloedema associated with raised ICT (due to any cause) and a pre-existing optic atrophy (due to any cause) on the other side.